In Ingle's method of Endodontic working length determination, safety allowance is for
1. Possible image distortion or magnification
2. To confirm with apical termination
3. Periapical bone resorption
4. Recording final working length

Correct answer: 1. Possible image distortion or magnification